BA lady with abdominal mass was investigated. On surgery, she was found to have b/1 ovarian masses with smooth surface. On microscopy they revealed mucin secreting cells with signet ring shapes. What is your diagnosis?
1. Dysgerminoma
2. Krukenberg tumour
3. Primary Adenocarcinoma of the ovaries
4. Dermoid cyst

Correct answer: 2. Krukenberg tumour

Explanation: Ans. (b) Krukenberg tumour(Ref: Robbin's Pathology 9th Ed/Pg 1032; Robbin's Pathology 8th ED/PG 1050; Shaw's Textbook of Gynaecology 15/e pg 425)Krukenberg Tumor*Refers to a metastatic bilateral ovarian malignancy whose primary site is GIT or breast. Q*Composed of cellular or myxomatous stroma with scattered mucin-producing, signet-ring cancer cells, most often of gastric origin (70%) Q*Ca colon, appendix, breast (sp invasive lobular carcinoma), pancreas and gall bladder are other primary sites.